Least chances of complication like dumping syndrome and diarrhoea are seen in the following condition:
1. Parietal cell vagotomy
2. Truncal vagotomy & Gastrojejunostomy
3. Antrectomy with truncal vagotomy
4. Vagotomy with pyloroplasty

Correct answer: 1. Parietal cell vagotomy

Explanation: Vagal denervation of just the parietal cell area of the stomach is called parietal cell vagotomy or proximal gastric vagotomy. The technique spares the nerves of Latarjet but divides all vagal branches that terminate on the proximal two thirds of the stomach. Parietal cell vagotomy appears to have about the same effectiveness as truncal or selective vagotomy for curing the ulcer disease, but dumping and diarrhea are much less frequent. It is probably the procedure of choice for intractable and perforated duodenal ulcers and is relatively less useful for obstructing and bleeding ulcers. The principal disadvantage is recurrent ulceration in about 10% of patients. Ref: Doherty G.M., Way L.W. (2010). Chapter 23. Stomach & Duodenum. In G.M. Doherty (Ed), CURRENT Diagnosis & Treatment: Surgery, 13e.